Minimal reabsorption in kidney occurs for
1. Urea
2. Glucose
3. Na
4. HCO3

Correct answer: 1. Urea

Explanation: Minimal reabsorption for ureaRef: Ganong's review of medical physiology; 24th edition; page no; 682, 681